True about corynebacterium diphtheriae ?
1. Schick test is done for resistance
2. Gram positive organism
3. Schick test is an intramuscular test
4. Most important treatment is antibiotic

Correct answer: 2. Gram positive organism

Explanation: Ans. is 'b' i.e., Gram positive organism Corynebacterium diphtheriae is a gram positive bacillus. Schick test was an intradermal test which was used for susceptibility. Administration of diphtherial antitoxin is the most important element in the treatment of respiratory diphtheria. The primary goal of antibiotic therapy is to eradicate C. diphtheriae. Drugs currently used are erythromycin or procaine penicillin G. alternatives are rifampicin or clindamycin.